The following arteries provide a rich blood supply to the face, EXCEPT the
1. Buccal artery
2. Mental artery
3. Posterior auricular artery
4. Infra orbital artery

Correct answer: 3. Posterior auricular artery